Before an accurate face bow transfer record can be made, it is necessary to determine
1. The axial centre of opening closing rotation
2. The inclination of each condyle
3. The physiologic rest position
4. Centric relation

Correct answer: 1. The axial centre of opening closing rotation